Desfuroxamide is a drug used for:
1. Kala-azar
2. Pernicious anaemia
3. Pain control
4. Thalassemia

Correct answer: 4. Thalassemia